Visual hallucinations are most commonly seen in:
1. Delusional syndrome
2. Delirium
3. Mania
4. OCD

Correct answer: 2. Delirium

Explanation: Ans. Delirium